Which of the following conditions has autosomal dominant inheritance?
1. Gyrate atrophy
2. Best Disease
3. Lawrance Mood Biedl Syndrome
4. Bassen Kornzweig's Disease

Correct answer: 2. Best Disease

Explanation: Ans. (b) Best diseaseRef Kanski 6/e, p. 672, 667, 693, Harrison 18/e, p. 2190* Best disease (Autosomal dominant)* Bassen - Kornzweig syndrome (Autosomal Recessive)* Gyrate Atrophy (Autosomal Recessive)* Lawrence-Moon-Biedl Syndrome (Autosomal Recessive)